All of the following can predispose to development of angle closure glaucoma, EXCEPT:
1. Small cornea
2. Smaller diameter of lens
3. Shallow AC
4. Small eyeball

Correct answer: 2. Smaller diameter of lens

Explanation: Anatomical risk factors for developing primary angle closure glaucoma are: Hypermetropic eyes with shallow anterior chamber Eyes in which iris-lens diaphragm is placed anteriorly Eyes with narrow angle of anterior chamber, which may be due to: small eyeball, relatively large size of the lens and smaller diameter of the cornea or bigger size of the ciliary body Plateau iris configuration Ref: Comprehensive Ophthalmology by AK Khurana, 4th edition, Page 225.